Drug used for sclerotherapy of varicose veins are all of the following except:
1. Ethanolamine Oleate
2. Polidocanol
3. Ethanol
4. Sodium tetradecyl sulfate

Correct answer: 3. Ethanol

Explanation: Ans. C: Ethanol Sclerotherapy remains the primary treatment for small-vessel varicose disease of the lower extremities. These small vessels include telangiectasias, venulectasias, and reticular ectasias. Telangiectasias are flat red vessels smaller than 1 mm in diameter. Venulectasias are blue, sometimes distended above the skin surface, and smaller than 2 mm in diameter. Reticular veins have a cyanotic hue and are 2-4 mm in diameter. Large varicosities do not respond as well as small varicosities to sclerotherapy. Sclerosants include the following: Detergents - Disrupt vein cellular membrane (protein theft denaturation) - Sodium tetradecyl sulfate - Polidocanol Sodium morrhuate - Ethanolamine Oleate Osmotic agents - Damage the cell by shifting the water balance through cellular gradient (osmotic) dehydration and cell membrane denaturation - Hypertonic sodium chloride solution - Sodium chloride solution with dextrose Chemical irritants - Damage the cell wall by direct caustic destruction of endothelium - Chromated glycerin - Polyiodinated iodine The most commonly used agents are hypertonic saline, sodium tetradecyl sulfate, polidocanol, and chromated glycerin.